A 30 year old man reports four hours after acquiring a clean wound without laceration. He had received TT vaccination 10 year back. What do you advice regarding tetanus prophylaxis?
1. Single dose of TT
2. Full course of TT
3. 1 dose TT and TIG
4. No vaccination needed

Correct answer: 1. Single dose of TT

Explanation: Single dose of TT